Most common type of uterine polyp is:
1. Mucous polyp
2. Fibroid
3. Placental polyp
4. None

Correct answer: 1. Mucous polyp

Explanation: • M/C uterine polp is mucous (endometrial/adenoma) polyp.
• Polyps are mostly symptomless, if they become ulcerated, then features of menorrhagia/metrorrhagia are seen.
• M/C in postmenopausal females
• Predisposing factors: HRT, tamoxifen therapy and Increased patient age
• IOC = Hysteroscopy
• Management: Hysteroscopy-guided polypectomy.
• Rarely, polyps undergo malignant change (0.5%):
– Endometrial polyp develops into adenocarcinoma
– Fibroid polyp into sarcoma
– Placental polyp into choriocarcinoma.